How is moderate malnutrition defined?
1. Weight for age <-2SD
2. Weight for height <-2SD to >-3SD
3. Weight for age <-3SD
4. Weight for height +2SD to +3SD

Correct answer: 2. Weight for height <-2SD to >-3SD

Explanation: A score of <-2SD to > -3SD score indicates moderate malnutrition. The WHO classification of malnutrition: A score of <-2 to > -3SD indicated moderate malnutrition A score of <- 3SD indicates severe malnutrition A score of +2 to +3 SD indicated overweight A score of > +3 indicates obesity The indicators of undernutrition include: Ref: Nelson textbook of pediatrics 20th edition Pgno: 298